A 8 years old child is preceniting with perianal itching. Perianal scrabbing/swab is showing following bile non-stained eggs. The causative parasite is-
1. Ascaris
2. Strongyloides
3. Enterobius
4. Trichoris

Correct answer: 3. Enterobius

Explanation: Ans. is 'c' i.e., Enterobius* Perianal pruritis with planoconvex bile non-stained eggs are characteristic of enterosius vermicularis.